A child can copy circle, but he cannot copy a square. If the development of this child is normal, at this age, he should be able to:
1. Tell a story
2. Skip
3. Ask meaning of words
4. Know his name and gender

Correct answer: 4. Know his name and gender

Explanation: Normally, a child is able to copy a circle at 3 years and square at 4 years. This child is a 3-year old, and he should be able to know his name and gender. A child is able to tell a story at 4 years Asks meaning of words at 5 years A child can skip at 5 years Language Mile stones Age Milestone 1 Month Ales to sound 2 months Coos (musical to vowel sound) 4 months Laughs aloud 6 months Monosyllables Sounds (ma, ba) 9 months Bisyllables (mama, baba) 12 months 1-2 words with meaning 18 months 8-10 word vocabulary 2 years 2-3 word sentences (uses pronouns I, me, you) 3 years Asks question (Knows name and gender) 4 years Sings songs, Poems Tells stories 5 years Asks meaning of words Social and adaptive milestones Age Milestones 2 months Social smile 3 months Recognises mother 6 months Stranger anxiety 9 months Waves bye bye 12 months Comes when called Plays simple ball game 15 months Jargon 18 months Copies parents in task 2 years Asks for food, drink, toilet 3 years Shares toys knows full name and gender 4 years Plays cooperatively in a group Goes to toilet alone 5 years Helps in household tasks Dressing and undressing Fine motor milestones Age Milestones 4 months Reaches out for objects with both hands (Bidextrous reach) 6 months Reaches out for objects with one hand (Unidextrous reach) Transfers object 9 months Immature pincer grasp 12 months mature Pincer grasp 15 months Imitates scribbling Builds tower of 2 blocks 18 months Scribbles Builds tower of 3 blocks 2 years Builds tower of 3 blocks 3 years Builds tower of 9 blocks Builds bridge with block Copies circle 4 years Builds gate with block Copies cross and square 5 years Copies triangle Ref: Ghai Essential pediatrics 9th edition Pgno: 49